Urinary bladder is supplied by which branches of lumbar plexus?
1. L1&L2
2. L2&L3
3. L3&L4
4. L2( L3 & L4

Correct answer: 1. L1&L2

Explanation: ANSWER: (A) L1 & L2REF: Gray s Anatomy 30th edition page 1291Nerve supply of Urinary bladder:They consist of both sympathetic and parasympathetic components, each of which contains both efferent and afferent fibres.Parasympathetic fibres arise from the second to the fourth sacral segments of the spinal cord and enter the pelvic plexuses on the posterolateral aspects of the rectum as the pelvic splanchnic nerves or nervi erigentes.The sympathetic fibres are derived from the lower three thoracic and upper two lumbar segments of the spinal cord